Repetitive hand washing is a symptom of:
1. Post-traumatic stress disorder
2. Depression
3. Anorexia nervosa
4. Obsessive compulsive disorder

Correct answer: 4. Obsessive compulsive disorder

Explanation: Ans. Obsessive compulsive disorder